Multiple pregnancy resulting from Fertilization of two ova discharged from ovary at different periods of ovulation is best termed as:
1. Superfecundation
2. Superfoetation
3. Pseudocyesis
4. Atavism

Correct answer: 2. Superfoetation

Explanation: Fertilization of two ova discharged from ovary at different periods of ovulation is termed as Superfoetation. Superfoetation means the fertilization of an ovum from a subsequent ovulation in a woman who is already pregnant. Superfecundation and Superfoetation: Superfecundation is fertilization of second ova within the same menstrual cycle when one ovum has already being fertilized. Superfetation is fertilization and subsequent development of an embryo during the course of an established pregnancy. Superfecundation Superfoetation Superfecundation means fertilization of two ova discharged from the ovary at the same period of ovulation (Same menstrual cycle) by spermatozoa introduced during two different acts of coitus committed at short intervals Superfoetation means Fertilization of two ova discharged from ovary at different periods of ovulation. It may also be defined as the felization of an ovum from a subsequent ovulation in a woman who is already pregnant Both fertilized ova develop as twins and go to full term at about the same period Both fertilized ova may develop as twins but typically one fetus always remains more developed than the other, and may be born either at the same time showing different maturation or may born at different periods. Ref: APC Essentials of Forensic Medicine